All of the following statements about intrinsic allergic Asthma are true, except
1. Nasal polyp
2. Normal IgE levels
3. Family history positive
4. More aggressive

Correct answer: 3. Family history positive

Explanation: These patients, with nonatopic or intrinsic asthma, usually show later onset of disease (adult-onset asthma), commonly have concomitant nasal polyps, and maybe aspirin-sensitive. They usually have more severe, persistent asthma. A minority of asthmatic patients (approximately 10%) have negative skin tests to common inhalant allergens and normal serum concentrations of IgE. The immunopathology in bronchial biopsies and sputum appears to be identical to that found in atopic asthma.Ref: Harrison's 18/e p2102, 17/e p1596